Which of the following aminoglycosides has the highest nephrotoxicity?
1. Paromomycin
2. Streptomycin
3. Amikacin
4. Neomycin

Correct answer: 4. Neomycin